A 15 year old girl was admitted to the infectious disease hospital with a provisional diagnosis of rabies. The most suitable clinical sample that can confirm the antemortem diagnosis is-
1. Serum for anti-rabies IgG antibody
2. Corneal impression smear for immunofluorescence stain
3. CSF sample for viral culture
4. Giemsa stain on smear prepared from salivary secretions

Correct answer: 2. Corneal impression smear for immunofluorescence stain

Explanation: Diagnosis of rabies The diagnosis of rabies is usually made by the detection of rabies virus antigens by immunofluorescence. The specimens collected are : Antemortem > Corneal smear Skin biopsy from neck or saliva Postmortem Brain biopsy